Histone in nucleosome core are all except
1. H2A
2. H2B
3. H3
4. H1

Correct answer: 4. H1

Explanation: In addition to binding to the nucleosome, the H1 protein binds to the "linker DNA" (approximately 20-80 nucleotides in length) region between nucleosomes, helping stabilize the zig-zagged 30 nm chromatin fiber Ref-Harpers illustrated biochemistry 30/e p280